Shortest acting non depolarizing muscle relaxant is-
1. Mivacuriiim
2. Doxacuronium
3. Pipecurium
4. Vecuronium

Correct answer: 1. Mivacuriiim

Explanation: Ans. is 'a' i.e., Mivacurium o Suxamethonium (succinylcholine) is the shortest acting skeletal muscle relaxant,o Mivacurium is the shortest acting nondepolarizing skeletal muscle relaxant.